True about confounding factor-
1. It is found equally between study and control
2. It is itself a risk factor for the disease
3. Confounding can be eliminated by selecting a small group
4. It is associated with either the exposure or the

Correct answer: 2. It is itself a risk factor for the disease

Explanation: Ans. is 'b' i.e., It is itself a risk factor for the disease Confounding factor has following characteristics i) Associated with the both exposure and the disease ii) Distributed unequally in study and control groups iii) Itself is a risk factor for the disease.